Which of the following is least mineralized?
1. Cementoid
2. Incremental line
3. Cellular cementum
4. Acellular cementum

Correct answer: 1. Cementoid